Age was found to be a factor affecting the relation of diabetes mellitus and periodontics
1. Sampling Bias
2. Selection Bias
3. Confounding Bias
4. Information Bias

Correct answer: 3. Confounding Bias